In Pemphigus vulgaris, tzank smear shows –
1. Acantholytic cells
2. Macrophages
3. Fibroblasts
4. Neutrophils

Correct answer: 1. Acantholytic cells